Subconjunctival hemorrhage occurs in all conditions except -
1. Passive venous congestion
2. Pertusis
3. Trauma
4. High intraocular tension

Correct answer: 4. High intraocular tension

Explanation: Subconjunctival haemorrhage may be associated with following conditions:1. Trauma. 2. Inflammations of the conjunctiva 3. Sudden venous congestion of head 4. Spontaneous rupture of fragile capillaries 5. Local vascular anomalies like telengiectasia, varicosities, aneurysm or angiomatous tumour. 6. Blood dyscrasias, Bleeding disorders & Vicarious bleeding associated with menstruation 7. Acute febrile systemic infections ref: A K KHURANA OPHTALMOLOGY,E4, Page-83